Most common mode of transmission of Pasturella multocida is -
1. Animal bites or scratches
2. Aerosols or dust
3. Contaminated tissue
4. Human to human

Correct answer: 1. Animal bites or scratches

Explanation: Ans. is 'a' i.e., Animal bites or scratches